Amount of protein in 100 ml of cow's milk is:
1. 1 g
2. 3 g
3. 4 g
4. 4.5 g

Correct answer: 2. 3 g

Explanation: Amount per 100 ml Cow's milk Human milk Fat 3.8 g 3.7 g Protein 3.3 g 1.1 g Lactose 4.5 g 7 g Ref: Nutrition and Child Development, K.E. Elizabeth, 4th edition pg: 18